When gratification is obtained by rubbing pelvic area or penis against non-consenting female, usually in public places which are crowded is known as
1. Transvestism
2. Frotteurism
3. Fetishism
4. Voyeurism

Correct answer: 2. Frotteurism